All are true regarding Plummer Vinson syndrome,except -
1. Oesophageal web
2. Predisposes to malignancy
3. Koilongchia
4. Common in elderly males

Correct answer: 4. Common in elderly males